Palpable purpura could occur in the following conditions, except:
1. Thrombocytopenia
2. Small-vessel vasculitis
3. Disseminated gonococcal infection
4. Acute meningococcemia

Correct answer: 1. Thrombocytopenia

Explanation: Answer is A (Thrombocytopenia) Thrombocytopenia is associated with non palpable purpura'. Causes of Non palpable pupura: Primary cutaneous disorders Systemic diseases Clotting disturbance Vascular fragility Thrombosis 1 Emboli Possible immune complex Trauma Thrombocytopenia Amyloidosis Disseminated Cholesterol Gardner-Diamond syndrome Solar purpura (including ITP) Ehlers-Danlos intravascular Fat Waldenstrom's Steroid purpura Abnormal platelet syndome coagulation hypergammaglobulinemic Capillaritis Livedoid vasculitis function Clotting factor defects . Scurvy Monoclonal cryoglobulinemia Thrombotic thrombocytopenic purpura purpura Warfarin reaction